The intricately and prodigiously looped system of veins and arteries that lie on the surface of the epididymis is known as:
1. Choroid plexus
2. Tuberal plexus
3. Pampiniform plexus
4. Pterygoid plexus

Correct answer: 3. Pampiniform plexus

Explanation: The pampiniform plexus of veins refers to the plexus of veins emerging from the testis, it drains the venous blood from the testis. This plexus ascends up and at the superficial inguinal ring condenses to form four veins, and pass through the inguinal canal within the spermatic cord. At the level of deep inguinal ring, they join to form a single testicular vein which accompanies the testicular artery. The right testicular vein drains into the inferior venacava. Left testicular vein drains into the left renal vein. Ref: Cancer and Sexual Health By John P. Mulhall, Page 10